In the forensic laboratory some samples are being examined under ultraviolet light, the doctor notices bluish white colour of the sample. Which is the most probable content of the sample?
1. Semen
2. Urine
3. Pus
4. Leucorrhoeal discharge

Correct answer: 1. Semen

Explanation: Ref: the synopsis of forensic medicine &toxicology-Dr.K.S. Narayana reddy 28th edition pg no:236 proof of semen: the only absolute prrof of semen is the finding of atl;east one unbroken spermatozoon,or electrophoretic LDH isoenzyme detection of sperms. in the absence of spermatozoa, a stain which gives characteristic fluorescence in ultraviolet light , a high level of acid phosphatase , a high creatine phosphokinase and P30 can be considerd due to semen the fluorescence will be blue white in colour